Delorme's Procedure is used for -
1. Rectal prolapse
2. Solitary rectal ulcer
3. Rectal bilharziasis
4. Proctalgia fugax

Correct answer: 1. Rectal prolapse